What is the latest reference to body length in ICD-10 to call it perinatal mortality rate?
1. 28cm
2. 30cm
3. 35cm
4. 38cm

Correct answer: 3. 35cm

Explanation: parks textbook of preventive and social medicine 23rd edition * ninth revision of international classification of diseases (ICD) added that :(1) babies choosen for inclusion in perinatal statistics should be tjose above a minimum birth weight ie1000g at birth. (2)if birthweight is not available ,a gestational period of atleast 28weeks should be used if (1)&(2)is not available ,body length of atleast 35cm should be used .